PTH does what directly?
1. Controls the rate of 25-hydroxycholicalciferol formation
2. Controls the rate of calcium transport in the mucosa of the small intestine
3. Controls the rate of formation of calcium-binding protein
4. Controls the rate of formation of 1,25-dihydroxycholicalciferol

Correct answer: 4. Controls the rate of formation of 1,25-dihydroxycholicalciferol

Explanation: Parathyroid hormone acts in the renal cortex to stimulate the reaction forming 1,25-dihydroxycholicalciferol from 25-hydroxycholicalciferol. It has no effects on other the other reactions